A 36 years old factory worker developed itchy annular scaly plaques in both groins. Application of a caicosteroid ointment led to temporarY relief but the plaques continued to extend at the periphery. The most likely diagnosis is -
1. Erythema annulare centrifugam
2. Granuloma annulare
3. Annular lichen planus
4. Tinea cruris

Correct answer: 4. Tinea cruris

Explanation: Itchy annular lesion in groins with scaling and peripheral spreading and central clearing indicates tinea cruris initially tinea responds to corticosteroids due to masking of infection by steroid effect. iadvl textbook of dermatology, page page 253